Middle meningeal artery is branch of -
1. l
st
 part of maxillary artery
2. 2
nd
 part of maxillary artery
3. 3
rd
 part of maxillary artery
4. External carotid artery

Correct answer: 1. l
st
 part of maxillary artery